Meyer pedicle graft is used for?
1. Fracture through neck of the talus
2. Non-union fracture neck of femur
3. Fracture through the waist of the scaphoid
4. Inter-trochanteric fracture femur

Correct answer: 2. Non-union fracture neck of femur

Explanation: Meyer-pedicle graft Used to prevent avascular necrosis and non-union fracture in upper end of femur (neck of femur). In this procedure, Quadratus femoris is taken up and inserted into the head of the femur. Inter-trochanteric of Femur does not result in AVN or non-union. It causes malunion.